Wolff-chaikoff effect is ?
1. Reduced thyroxine synthesis by radiotherapy
2. Reduced thyroxine synthesis by propylthiouracil
3. Reduced thyroxine synthesis by iodides
4. None of the above

Correct answer: 3. Reduced thyroxine synthesis by iodides

Explanation: Ans. is 'c' i.e., Reduced thyroxine synthesis by iodides Iodine and Iodides Iodine is the fastest acting thyroid inhibitor. Most important action is inhibition of hormone release (thyroid constipation); but all facets of thyroid synthesis may be affected. Excess iodide inhibits its own transport in thyroid cells and may alter the redox potential of cells, thus interfering iodination -reduced TIT3 synthesis ( Wolffichaikoff effect).